Elevation of which of the following metabolite in MR Spectroscopy suggests a possibility of carcinoma prostate?
1. Citrate
2. Acetate
3. Choline
4. NAA

Correct answer: 3. Choline

Explanation: Ans CMR Spectroscopy of Prostate - Principal among the identifiable metabolite is citrate, found in relatively high concentration in the glandular tissue of a healthy prostate. The normal MRI spectrum of the prostate reveals a prominent citrate peak, which often appears as a doublet if the shim is good enough. Other are those of creatinine and choline. Choline is a composite peak made up of phospholipid membrane components. It is elevated in many malignant tumors, including prostate cancer